Emergency contraception contains-
1. Cyproterone
2. Desogestrel
3. LNG
4. Medroxyprogesterone

Correct answer: 3. LNG

Explanation: Ans. is 'c' i.e., LNG * Two methods of emergency contraception are available now:1) Hormonal and2) Mechanical (IUD)* There are two types of hormonal emergency contraception (emergency window = 72 hours)1) LNG-only pills (most commonly used)# One tablet of 0.75 mg LNG pill should be taken as soon as possible after unprotected intercourse, followed by a same dose taken 12 h later; both doses must be taken within 72 h of intercourse.# Single 1.5 mg dose of LNG is as effective for emergency contraception as two 0.75 mg doses of LNG taken 12 h apart.# Failure rate (pregnancy rate) = 0-1%2) Combined Estrogen and Progestogen Pills (Also Known as the Yuzpe Regimen)# High-dose pills contain 50 pg of EE and 250 pg LNG (or 500 pg norgestrel). Two pills should be taken as soon as possible, but not later than 72 h of unprotected coitus; this must be followed by two other pills 12 h later.# When only low-dose pills containing 30 pg of EE and 150 pg of LNG (300 pg of norgestrel) are available, four pills should be taken as the first dose within 72 h of unprotected intercourse, followed by four more pills after 12 h.# Main side effect is nausea and vomiting# Failure rate = 0-2%* The mechanism of action of emergency contraceptive pills has not been clearly established. They may act through (1) inhibition or delay of ovulation, (2) prevention of implantation in the altered endometrium (interception = main action), and (3) prevention of fertilization due to quick transport of sperms or ova. They cannot interrupt already established pregnancy.